The characteristic lesion of atherosclerosis is -
1. Fibrinoid necrosis of the media
2. Giant cell reaction in the retina and internal elastic lamina
3. Organised thrombus in the affected segment
4. 'Fibro-fatty' lesion in the intima of the blood vessel

Correct answer: 4. 'Fibro-fatty' lesion in the intima of the blood vessel